All of the following are the good prognostic features for Hodgkin's disease except -
1. Haemoglobin > 10 gm\/dl
2. WBC count < 15000\/mm3
3. Absolute lymphocyte count < 600\/ul
4. Age < 45 yrs

Correct answer: 3. Absolute lymphocyte count < 600\/ul

Explanation: The Hesenclever prognostic index for advanced Hodgkin lymphoma includes poor prognostic factors such as age >45 yrs, male gender,serum albumin <40g/L,Hb<10.5g/dL,stage 4 disease , WBC count >15 x10^9 /L, lymphopenia <0.6x10^9/L.

Reference :Davidson's principles & practice of medicine 22nd edition pg no1043